Most common tumor of parotid -
1. Warthins tumor
2. Pleomorphic adenoma
3. Adenolvmphoma
4. None

Correct answer: 2. Pleomorphic adenoma

Explanation: Ans. is 'b' i.e., Pleomorphic adenoma o The parotid gland is the most common site for salivary gland tumors and most tumors arise in the superficial lobe.o Majority of parotid gland tumors are benign (-90%), the most common tumor being pleomorphic adenoma, next being Warthin 'v tumor.Also Remembero Most common malignant tumor of parotid - Mucoepidermoid Ca > Adenoid cystic carcinomao The most common malignancies in the pediatric population are mucoepidermoid carcinoma and acinic cell carcinoma. --Ref: Schwartz 9/ep. 507